Dengue fever is transmitted by -
1. Tiger mosquito
2. Jackal mosquito
3. Wolf mosquito
4. Lion mosquito

Correct answer: 1. Tiger mosquito